Conditions associated with decreased variability of fetal heart rate are all EXCEPT:
1. Fetal movement
2. Chronic hypoxia
3. Sleep
4. Acidemia

Correct answer: 1. Fetal movement

Explanation: Fetal movement REF: Danforth's Obstetrics and Gynecology, 10th Edition P.158 Increased variability (more than 25 beats per minute), or saltatory FHR pattern, is uncommon and most often represents an exuberant autonomic response of a normal fetus. Decreased (three to five beats per minute) or absent (zero to two beats per minute) FHR variability reflects diminished fetal CNS activity, usually attributable to fetal sleep cycles or to medications administered to the mother (e.g., analgesics, magnesium sulfate, benzodiazepines, phenothiazines, atropine). Persistently decreased variability, however, may signal fetal acidosis. This is particularly true in the presence of other FHR findings suggestive of hypoxia, including tachycardia, loss of reactivity, or repetitive decelerations.